Extremely pruritic excoriation & papules on buttocks with autoantibodies against epidermal transglutaminase and IgA deposition in dermis on immunohistological examination of normal perilesional skin. Diagnosis is –
1. Pemphigus vulgaris
2. Pemphigoid
3. Linear IgA disease
4. Dermatitis herpetiformis

Correct answer: 4. Dermatitis herpetiformis

Explanation: Following information suggest the diagnosis of dermatitis herpetiformis.

Extremely pruritic
Paulo - excoriation
Buttock involved
Antibodies against epidermal transglutaminase
IgA deposition in dermis